A pus culture on chocolate agar shows gram negative cocci most likely organism is -
1. H. ducreyi
2. Neisseria gonorrhoeae
3. Str. pyogenes
4. Str. pneumoniae

Correct answer: 2. Neisseria gonorrhoeae

Explanation: Ans. is 'b' i.e., Neisseria gonorrhoeae . Amongst the given options only gonococcus is gram negative cocci.